Following cranical nerve is most commonly involved in patients with sarcoidosis -
1. II Cranical nerve
2. III Cranial nerve
3. IV Cranial nerve
4. VII Cranial nerve

Correct answer: 4. VII Cranial nerve